Population - based registries are better than hospital -based registries because they ?
1. May be used for etiological studies
2. Help in assesing the effectiveness of control programme
3. Measure the burden of disease in a defined population
4. All of these

Correct answer: 4. All of these

Explanation: Ans. is 'a, b & c' i.e., May be used for etiological studies 'b' i.e., Help in assesing the effectiveness of control programme & 'c' i.e., Measure the burden of disease in a defined population The cancer registry is an organization for the systematic collection, storage, analysis, interpretation and reporting of data on subjects with cancer. There are two main types of cancer registry : hospital - based and population based cancer registries.